A 35 year old athlete has height 184 cm., arm span 194cm., pulse rate 64/min., BP 148/64 mm Hg. Chest ausultation reveals long diastolic murmur over right 2nd intercostal space on routine examination.The probable diagnosis is -
1. Aortic regurgitation
2. Atrial septal defect
3. Ebstein anomaly
4. Coarctation of aorta

Correct answer: 1. Aortic regurgitation